Higher pulse frequency of GnRH
1. Stimulates FSH Preferentially
2. Stimulates LH Preferentially
3. Decreases both FSH and LH
4. Decreases LH preferentially

Correct answer: 2. Stimulates LH Preferentially

Explanation: Higher pulse frequency preferentially stimulates LH, whereas lower frequency favors FSH secretion.